The histological features of the celiac disease include all of the following Except -
1. Crypt hyperplasia
2. Increase in thickness of the mucosa
3. Increase in intraepithelial lymphocytes
4. Increase in inflammatory cells in lamina propria

Correct answer: 2. Increase in thickness of the mucosa

Explanation: Pathological features

In celiac disease, the proximal intestine is commonly involved while in tropical sprue whole of the intestine is involved.
Biopsy of the intestine in celiac sprue demonstrates.

- Villous atrophy, loss of microvilli brush border
- The crypts are hyperplastic and become elongated.
- Presence of following cells on lamina propria → Plasma cells, Lymphocytes, Macrophages, Eosinophils, Mast cells
- Remember that overall mucosal thickness remains same in celiac sprue

Celiac disease is associated with dermatitis herpetiformis.
Individuals with celiac disease have a higher incidence of malignancy → enteropathy-associated T-cell lymphoma (most common), small intestine adenocarcinoma.